All the following drugs are given by sublingual route EXCEPT:
1. Isosorbide dinitrate
2. Buprenorphine
3. Glyceryl trinitrare
4. Isosorbide-5-mononitrate

Correct answer: 4. Isosorbide-5-mononitrate

Explanation: Isosorbide-5-mononitrate